Essential health care made universally accessible to individuals and acceptable to them is called:
1. Essential health care
2. Primary health care
3. Community health care
4. Social medicine

Correct answer: 2. Primary health care

Explanation: Ans. B: Primary health care Primary health care/ PHC is essential health care based on practical, scientifically sound and socially acceptable methods and technology that are universally accessible to individuals and families in the community through their full participation and at a cost that the community and the country can afford to maintain at every stage of their development in the spirit of self-determination.